Nodules seen near the collarette are called -
1. Busacca nodules
2. Koeppe's nodules
3. Lisch nodules
4. Dalen Fuch's nodules

Correct answer: 1. Busacca nodules

Explanation: The pathological reaction in granulomatous uveitis is characterised by infiltration with lymphocytes, plasma cells, with mobilization and proliferation of large mononuclear cells which eventually become epithelioid and giant cells and aggregate into nodules. Iris nodules are usually formed near pupillary border (Koeppe's nodules). and sometimes near collarette (Busacca nodules).